The maximum dose of isotretinoin should not exceed
1. 30-60mg/kg
2. 60-90 mg/kg
3. 90-120 mg/kg
4. 120-150 mg/kg

Correct answer: 4. 120-150 mg/kg

Explanation: Oral isotretinoin duration of treatment varies according to dose but post-therapy relapse is minimized by treatment courses that amount to the total of 120-150 mg/kg Ref Harrison 20th edition pg 1233